25-year-old female presented to emergency with palpitations and dizziness. ECG was done and was diagnosed supraventricular tachycardia. Her blood pressure was 60/40 mm Hg. First line of management for this patient is ?
1. Adenosine 6 mg IV
2. Vagal manoeuvre
3. Cardioversion
4. Adenosine 12 mg IV

Correct answer: 3. Cardioversion

Explanation: Supraventricular tachycardias with hemodynamic compromise should be treated with immediate synchronized cardioversion. Supraventricular tachycardias with no hemodynamic compromise: vagal maneuvers - if no response -iv adenosine 6 mg - if needed again adenosine 12 mg (after 1- 2mins)